Grisofulvin is used in all except
1. Tinea Capitis
2. Tinea Versicolor Candida
3. Tinea Corporis
4. Tinea Ungium

Correct answer: 2. Tinea Versicolor Candida

Explanation: B i.e. Tinea versicolor & candida Griseofulvin is ineffective topically and used systemically only for dermatophytosisQ. It is used for 4-6 monthsQ in tinea ungum (finger nail) infection. It is not active against candida, fungus causing deep mycosis and pityriasis versicolorQ. Condition DOC Systemic Fungal infection Amphotericin BQ All Dermatophytes (All Tinea execept Tinea Versicolour) GriesofulvinQ